Component of Human Development Life
1. Infant Mortality
2. Literacy
3. Life expectancy at age one
4. Life expectancy at birth

Correct answer: 4. Life expectancy at birth

Explanation: Components of HDI: Life expectancy at birth Knowledge Standard of Living. HDI ranges between 0 to 1. Ref: Park 24th edition. Pg: 17